The most common symptom of thyrotoxicosis is?
1. Palpitation
2. Fatigue and weakness
3. Diarrhea
4. Hyperactivity and irritability

Correct answer: 4. Hyperactivity and irritability

Explanation: Clinical feature of thyrotoxicosis: Hyperactivity, Irritability and dysphoria ( m/c symptom) Heat intolerance Dairrhea Weight loss Tachycardia ( persists during sleep ) Hypertension Fine resting tremor Proptosis Warm sweaty skin Irregular menses Osteoporosis Proximal myopathy